A 22 year old college going adult has H/o sexual exposure with commercial sex worker, now presenting with painful genital lesions and lymphadenopathy in right inguinal region. What is the diagnosis?
1. Syphilis
2. Chancroid
3. LGV
4. Gonorrhea

Correct answer: 2. Chancroid

Explanation: Ans. (b) ChancroidRef: MICRONS- Microbiology simplified - 2nd ed - by Malathi MurugesanDiseaseUlcerLymphnodesPrimary syphilisChancre painlessPainless-bilateralChancroidpainfulPainful -usually unilateralDonovanosisPainless (beefy red)PSEUDOBUBO (lesion appearing in groin may present like lymphadenopathy prior to rupture)LGVTransientPainful usuallyHerpesPainfulPainfulCourtesy: from MICRONS- Microbiology simplified-2nd ed - by Malathi MurugesanDifferences between chancroid and IGV buboChancroid buboLgv bubo90% unilateral2/3 unilateralMattedNot mattedUnilocularMultilocularRupture with single openingRupture with multiple openingAccompanied by genital ulcerNot accompanied by genital ulcerGroove sign negativeGroove sign positivePrimary syphilis - presents as chancre (Hunterian Chancre)ChancreChancroidSingleMultiplePainlessPainfulClean baseNecrotic baseBilateral inguinal nodesUnilateral inguinal nodesNo exudatesYellow exudates